The BEST method for teaching mothers about using ORS is:
1. Group discussion
2. Demonstration
3. Lecture
4. Flannel graph

Correct answer: 2. Demonstration

Explanation: A demonstration is a carefully prepared presentation to show how to perform a skill or procedure. Here a procedure is carried out step by step before an audience. Demonstration is found to have high education value in programmes like teaching a mother the use of oral rehydration therapy at home. Ref: Park 21st edition, page: 803.